Foot drop due to injury of which nerve
1. Tibial nerve
2. Deep peroneal nerve
3. Superficial peroneal nerve
4. Sural nerve

Correct answer: 2. Deep peroneal nerve

Explanation: FOOT DROP:- Paralysis of muscles of anterior compartment of the leg due to injury to deep peroneal nerve results in loss of power of dorsiflexion of foot and eversion. As a result foot us plantar flexed. Ankle reflex is intact.This is usually caused by injury or disease of the common peroneal nerve due to trauma, leprosy or peripheral neuritis.Sensory loss- first interdigital cleft. {Reference: BDC 6E pg no.97}